Which enzyme is not present in muscles?
1. Phosphorylase b
2. Hexokinase
3. Glucose-6-phosphatase
4. Glycogen synthase

Correct answer: 3. Glucose-6-phosphatase

Explanation: Ans. C. Glucose-6-phosphataseMuscle Glycogen function is for muscle contraction. So, when muscle glycogenolysis ends, it ends with glucose-6- phosphate. So that this glucose 6 - Phosphates can directly enter into glycolysis for giving energy for muscle contraction. So therefore, glucose - 6 - phosphatase enzyme is absent in muscles. So that glucose - 6 - Phosphates is the end product of muscle glycogenolysis.